The tensile strength of a bone is due to -
1. Strands of collagen
2. Hydroxyapatite crystals
3. Periosteum
4. Metaphysis

Correct answer: 1. Strands of collagen

Explanation: Answer- A. Strands of collagenThe strands of collagen give bone its tensile strength, and the interspersed crystals of hydroryapatite give bone its compressional strength. These effects are synergistic.